A 30 years old lady was brought to the hospital with strong labour pains for the last 3 hours and no progress. She was found to have pelvic deformities which lead to cephalopelvicdisproportion. The baby was delivered by a cesarean section. The woman is likely to have suffered from the deficiency of
1. Vitamin D
2. Vitamin B
3. Vitamin C
4. Vitamin A

Correct answer: 1. Vitamin D